Most potent topical steroid?
1. Hydrocortisone
2. Betamethasone
3. Clobetasol propionate
4. Clobetasone butyrate

Correct answer: 3. Clobetasol propionate

Explanation: Classification Of Topical Steroids By Potency 1 Very potent 0.05% Clobetasol propionate 0.3% Diflucortolone valerate 0.1% 2 Potent Betamethasone valerate 0.025% Fluocinolone acetonide 0.025% 3 Diluted potent Betamethasone valerate 0.00625% Fluocinolone acetonide 0.05% 4 Moderately potent Clobetasone butyrate 0.05% Alclometasone dipropionate 2.5% 5 Mild Hydrocortisone 1%